Second sight phenomenon is seen in -
1. Nuclear cataract
2. Cortical cataract
3. Senile cataract
4. Iridocyclitis

Correct answer: 1. Nuclear cataract

Explanation: In patients with nuclear sclerosis, distant vision deteriorates due to progressive index myopia. Such patients may be able to read without presbyopic glasses. This improvement in near vision is referred to as 'second sight'. REF IMG